In pellagra, all are seen except ?
1. Diarrhoea
2. Dermatitis
3. Delusion
4. Dementia

Correct answer: 3. Delusion

Explanation: Ans. is 'c' i.e., Delusion Pellagra Niacin (Vit B3) def. Triad of - Dermatitis Diarrhea Dementia